Microleakage is more in
1. Direct gold filling
2. Composite
3. Amalgam
4. GIC

Correct answer: 2. Composite